About O2 dissociation curve, true is:
1. Affinity of O2 with Hb decreases as Hb attaches to O2 in linear fashion
2. 1 Hb attaches to 2 molecules of 2,3 DPG
3. O2 affinity will be equal in both HbF and HbA in the absence of 2, 3DPG is removed
4. Carboxy Hb increases releases of O2 in blood (shift O2 dissociation curve to right)

Correct answer: 3. O2 affinity will be equal in both HbF and HbA in the absence of 2, 3DPG is removed

Explanation: (Refer: Textbook of Medical Biochemistry By S Ramakrishnan. Pg no: 102)
Affinity of Hb F for oxygen and carbon dioxide